In the immediate post operative period, body potassium is:
1. Exchanged with calcium
2. Exchanged with magnesium
3. Retained in body
4. Excreted excessively

Correct answer: 4. Excreted excessively

Explanation: In immediate post-operative period, due to increased adrenocortical activity, there is Na+ retention and K+ excretion.